Myoglobin dissociation curve is:
1. Almost linear
2. Parabola
3. Rectangular hyperbola
4. Sigmoid

Correct answer: 3. Rectangular hyperbola

Explanation: Myoglobin dissociation curve is: Rectangular hyperbola. P50for myoglobin (PO2at which 50% of myoglobin is saturated)- 5 mmHg. Myoglobin has high affinity for O2.